The normal value of P50 on the oxyhaemoglobin dissociation curve in an adult is
1. 1.8 kPa
2. 2.7 kPa
3. 3.6 kPa
4. 4.5 kPa

Correct answer: 3. 3.6 kPa

Explanation: Adult Hb- 50% saturation at PO2 of 26mmHg.
1mmHg= 0.133 KPa
26mmHg= 0.133 X 26 = 3.45